Cells which remain in Go phase -
1. Permanent cells
2. Labile cells
3. Intermitotic cells
4. Quiscent cells

Correct answer: 4. Quiscent cells

Explanation: Ans. is 'd' i.e., Quiscent cellsTypes of cellsbased on their proliferative and regenerative capacity, cells are divided into :?1) Labile cells (continuously dividing cells) or intermitotic cellsThese cells have capacity to proliferate and regenerate throughout the life.They always remain in cell cycle and have very short Go-phase (quiescent phase).2) Stable or quiescent or reversible postimitotic cellsThey have limited capacity to proliferate and regenerate. They remain in Go phase of cell cycle but can enter in GI phase when stimulated i.e., they usually remain quiescent, but proliferate in response to stimuli.3) Permanent or nondividing or irreversible postmitotic cellsThey cannot divide and regenerate. These cells are nondividing and have left the cell cycle, i.e., they do not belong to any phase of cell cycle.